A 70 year old patient comes with complaint of headache, nausea, tenderness over temporal region, diagnosis is?
1. Aneurysmal arterial dilatation with sub-intimal inflammation
2. Granulamatous inflammationwith giant cell arteritis
3. Luminol thrombosis
4. Acute organising thrombus formation

Correct answer: 2. Granulamatous inflammationwith giant cell arteritis